Which of the following cells are predominant in the 
stage 1 of gingivitis are
1. Plasma cells
2. Neutrophils
3. Mast cells
4. Lymphocytes

Correct answer: 2. Neutrophils